All are true about electrocochleography except
1. the electrode must be kept close to source of amplitude
2. actionpotentional is produced by inner hair cells and positive waves
3. cochlearmicrophonic is produced from the outer hair cells of the cochlea
4. mostly used in monitoring the meniers disease

Correct answer: 2. actionpotentional is produced by inner hair cells and positive waves

Explanation: Electrodes can be kept over the promontory,EAC or outside,the signals are better as much it is kept close to source. Different waves are cochlear microphonic:produced from outer hair cells action potential is produced by all the nerve fibers Used in diagnosis and monitoring the meiners disease and endolymphatic hydrops